A 40-year-old politician suffered from attacks of chest pain diagnosed as angina pectoris. He had a tense personality, heart rate was 96/min blood pressure 170/104mm Hg, but blood sugar level and lipid profile were normal. Select the most suitable antihypertensive for the initial therapy in his case:
1. Nifedipine
2. Hydrochlorothiazide
3. Atenolol
4. Methyldopa

Correct answer: 3. Atenolol

Explanation: Tense personality and high resting heart rate (96/min) makes b-blockers ideal candidate drugs to be used in this case. As blood sugar and lipid profile is normal, beta blockers can be used safely.